Gelle test is used for
1. Otosclerosis
2. Noise-induced hearing loss
3. Sensorineural deafness
4. None of the above

Correct answer: 1. Otosclerosis

Explanation: Gelle's test is performed by placing a vibrating fork on the mastoid while changes in air pressure in the ear canal are brought about by Siegle's speculum. The test is positive in otosclerosis.Ref: Hazarika; 3rd ed; Pg 179